Elimination ofleprosy is defined as prevalance
1. < 1 per 1000
2. < 1 per 10000
3. < 1 per I lakh
4. < 1 per 100

Correct answer: 2. < 1 per 10000

Explanation: Ans. is "b' i.e., < 1 per 10000 "As a result of the hard work and meticulously planned and executed activities, the country achieved the goal of elimination of leprosy s public health problem, defined as less than 1 ease per 10000 population. at the National level in the month of December, 2005. As on 31st December 2005. prevalence rate recorded in the country was 0.95/10,000 population"